Which of the following is not a side effect of long-term use of PPI?
1. Hypothyroidism
2. Osteoporosis leading to hip fracture in women
3. Community acquired pneumonia
4. Clostridium difficile infection

Correct answer: 1. Hypothyroidism

Explanation: Ans. a. Hypothyroidism